Find the value of range for the following data 7, 9, 6,8, 11, 10, 4 -
1. 5
2. 6
3. 7
4. 8

Correct answer: 3. 7